The lack of ability of an individual to do his routine activity is -
1. Disease
2. Impairement
3. Disability
4. Handicap

Correct answer: 3. Disability

Explanation: Disability defined as lack of ability of an individual to do his routine activity Disease defined as a condition in which body health is impaired, a departure from a state of health, an alteration of human body interupting the performance of vital functions Impairment is defined as any loss or abnormality of psychological, physiological,or anatomical structure or function Handicap defined as a disadvantage for a given individual,resulting from an impairment or disability , that limits or prevents the fulfilement of a role that is normal for that individual ref ;(page no;44) 23rd edition of PARK's textbook of Preventive and Social medicine